True about pheochromocytoma is
1. Arises from chromaffin cells of adrenal medulla
2. Bilateral in 20% of all cases
3. Hypotension rules out pheochromocytoma
4. Almost always a malignant tumor

Correct answer: 1. Arises from chromaffin cells of adrenal medulla

Explanation: 10% are bilateral 10% are malignant 10% occur in pediatric patients 10% are extra-adrenal 10% are familial